Distribution of blood flow in mainly regulated by
1. Arteries
2. Arterioles
3. Capillaries
4. Venules

Correct answer: 2. Arterioles

Explanation: Arterioles are the major site of resistance to the blood flow and small change in their caliber cause large changes in total peripheral resistance, and thereby diastolic pressure is affected. Ref: Ganong's Review of medical physiology, 24th edition.Pg no. 570